Corneal dystrophies are usually -
1. Primarily unilateral
2. Primarily bilateral
3. c)Primarily unilateral without systemic disease
4. d) Primarily bilateral with systemic disease

Correct answer: 2. Primarily bilateral

Explanation: Corneal dystrophies are inherited disorders in which the cells have some inborn defects due to which the pathological changes may occur with passage of time leading to development of corneal haze in otherwise normal eyes that are free from inflammation or vascularization.Dystrophies occur bilaterally manifesting occasionally at birth. REF:Comprehensive ophthalmology,AK Khurana,6th edition,pg no.124